Miliary shadow in chest X-ray is seen in A/E:
1. TB
2. Loeffler's pneumonia
3. Klebsiella
4. Varicella pneumonia

Correct answer: 3. Klebsiella

Explanation: C i.e. Klebsiella